Fungus capable of forming fungal ball is:
1. Penicillium
2. Aspergillus
3. Mucor
4. Rhizopus

Correct answer: 2. Aspergillus